A 15-year-old male is admitted to the emergency department with severe headache and hydrocephalus. Radiographic examination reveals a craniopharyngioma occupying the sella turcica, primarily involving the suprasellar space. Which of the following is the most likely cause of this tumor?
1. Persistence of a small portion of the Rathke pouch
2. Abnormal development of pars tuberalis
3. Abnormal development of foramina of Monro
4. Abnormal development of the alar plates that form the lateral wall of diencephalon

Correct answer: 1. Persistence of a small portion of the Rathke pouch

Explanation: During embryologic development of the pituitary gland, an outgrowth from the roof of the pharynx (Rathke's pouch) grows cephalad and comprises the anterior lobe (pars distalis) of the pituitary gland. Since this gland normally occupies the sella turcica, it is most likely a tumor derived from the Rathke's pouch that is extending up into the sella turcica and the space just above it, the suprasellar space.